Which of the following is not ureidopenicillin?
1. Piperacillin
2. Mezlocillin
3. Azlocillin
4. Flucloxacillin

Correct answer: 4. Flucloxacillin